Mercedes Benz sign or seagull sign is seen in
1. Gall stones
2. Renal stones
3. CBD stones
4. Hydatid cyst

Correct answer: 1. Gall stones

Explanation: Mercedes Benz sign or Seagull sign The Centre of gallstone may contain radiolucent gas in a triradiate or biradiate fissure This gives rise to characteristic dark shapes on radiograph, the Mercedes Benz sign or Seagull sign Ref: Bailey and love 27th edition Pgno : 1199